Stridor in adults is most commonly caused by:
1. Reinke's edema
2. Malignancy
3. Acute severe asthma
4. Toxic gas inhalation

Correct answer: 2. Malignancy

Explanation: Acute severe asthma also does not lead of stridor. Toxic gas inhalation does not lead to stridor.